An 8-year-old boy is brought to the emergency room after accidentally touching a hot iron with his forearm. On examination, the burned area has weeping blisters and is very tender to the touch. What is the burn depth?
1. First degree
2. Second degree
3. Third degree
4. Fourth degree

Correct answer: 2. Second degree

Explanation: Burn wounds are commonly classified as superficial (first degree), partial thickness (second degree), full thickness (third degree), and fourth degree burns, which affect underlying soft tissue. Partial thickness burns are classified as either superficial or deep partial thickness burns by depth of involved dermis. Clinically, first-degree burns are painful but do not blister, second-degree burns have dermal involvement and are extremely painful with weeping and blisters, and third-degree burns are leathery, painless, and nonblanching.